Exposure of left subclavian artery by supraclavicular approach does not require cutting of ?
1. Sternocleidomastoid
2. Scalenus anterior
3. Scalenus medius
4. Omohyoid

Correct answer: 3. Scalenus medius

Explanation: Scalenus medius lies posterior to the subclavian artery and thus need not be divided to expose the artery. Whereas, sternocleidomastoid & scalenus anterior lie anteriorly and omohyoid lies superiorly and thus are cut during exposure of the subclavian artery.